Which is the most common cause of thrombocytopenia in an ICU patient?
1. Sepsis
2. Bone marrow failure
3. ITP
4. Drug induced

Correct answer: 1. Sepsis

Explanation: Ans. is 'a' i.e., Sepsis Thrombocytopenias in ICU patients :* Thrombocytopenia is a common laboratory abnormality that has been associated with adverse outcomes in ICU patients.* Thrombocytopenia is defined as platelet count < 150 X 103 cells / mcL.* Following table depicts the probable mechanisms and the causes for presence of thrombocytopenia in ICU patients.Thrombocytopenia in ICU : mechanisms and causesSix possible mechanisms* Hemodilution* Increased consumption* Increased destruction* Decreased production* Increased sequestration* Laboratory artifact (pseudothrombocytopenia) Specific causes* Sepsis, multiorgan failure* Trauma or major surgery* Bone marrow failure (leukemia, aplastic anemia)* Immune-mediated platelet consumption (ITP)* Drug induced (heparin, GPIIb/GPIIa inhibitors, antibiotics)* TIP and related disorders (HUS, TMA, and peripartum HELLP syndrome)* Sepsis is the most common cause accounting for 48% of the total patients of thrombocytopenia in ICU patients.* More than 25% of the patients have more than one associated cause.